FSH is secreted by -
1. Ovary
2. Hypothalamus
3. Posterior pituitary
4. Anterior pituitary

Correct answer: 4. Anterior pituitary

Explanation: Ans. is 'd' i.e.. Anterior pituitary Gland HormonesPituitary o Growth hormone (GH)o Prolactino Adrenocorticotropic hormone (ACTH, corticotropin)o Thyroid stimulating hormone (THS, thyrotropin) 'Anterior lobeo Gonadotropins - Follicle stimulating hormone (FSH) and leutinizing hormone (LH).o Melanocyte stimulating hormone (MSH) - Middle lobeo Oxytocino Antidiuretic hormone (ADH, vasopressin Posterior lobe